In facial palsy the muscle which is paralysed is:
1. Levator palpebrae superioris
2. Orbicularis oculi
3. Constrictor pupillae
4. Dilator pupillae

Correct answer: 2. Orbicularis oculi